A 25 year old male patient reports with a bony expansile
swelling of the right body of the mandible & mild paresthesia of the right IDN. OPG shows a multi Jocular
radiolucency without root resorption.

What would be your choice of next investigation
1. Excision biopsy
2. Aspiration Cytology
3. CT Scan
4. PET Bone scan

Correct answer: 2. Aspiration Cytology